Vision 2020 includes all of the following, except:
1. Onchocerciasis
2. Epidemic conjunctivitis
3. Cataract
4. Trachoma

Correct answer: 2. Epidemic conjunctivitis

Explanation: Epidemic conjunctivitis